Painful arc syndrome is caused by the tear of
1. Deltoid
2. Supra spinatus
3. Trapezius
4. Pectoralis major

Correct answer: 2. Supra spinatus

Explanation: Painful arc syndrome is caused by tear of the supraspinatus tendon. Subacromial bursitis, fracture of greater tuberosity also may produce Ref: Gray's39e/p-793-795